A 60-year-old man with diabetes mellitus presents with painless, swollen right ankle joint. Radiographs of the ankle show destroyed joint with a large number of loose bodies. The most probable diagnosis is -
1. Charcot's joint
2. Clutton's joint
3. Osteoarthritis
4. Rheumatoid arthritis

Correct answer: 1. Charcot's joint

Explanation: Painless swollen ankle, destroyed joint and multiple loose bodies in a diabetic patient suggest the diagnosis of Charcot’s joint (neuropathic joint).
Joint destruction without pain is characteristic of Charcot’s joint.